Volume of interstitial fluid in a normal adult
1. 5L
2. 10L
3. 15L
4. 20L

Correct answer: 2. 10L

Explanation: In a 70 kg man ,60%of body weight is due to water ,about 42 L .of this 10 L is present ias Interstitial fluid Ref.Textbook of physiology AK Jain 5th edition page no.24 table 1.3.2